Poly(A) tail translates into:
1. Polyproline
2. Polyl ysine
3. Pol yalanine
4. Polyglycine

Correct answer: 2. Polyl ysine

Explanation: Polylysine Messanger RNAs, particularly in eukaryotes, have some unique chemical characteristics: - The 5' terminal of mRNA is capped by a 7-methylguanosine triphosphate. The cap is involved in the recognition of inRNA by the translating machinery, and it probably helps stabilize the mRNA by preventing the attack of 5'- exonucleases. - At their 3' end, most eukaryotic mRNAs have a string of 80 to 250 adenylate residues, making up the poly(A) tail. The poly(A) tail and its associated proteins help protect mRNA from enzymatic destruction. The following article"Translation of the poly(A) tail plays crucial roles in nonstop niRNA surveillance translation repression and protein destabilization by proteasome in yeast" published in "GENES & DEVELOPMENT 21:519-524, 2007" states that the poly(A) tail translates into polylysine.